The following bowel movement is not seen in normal individual:
1. Peristalsis
2. Peristaltic rush
3. Segmentation contraction
4. Migrating motor complex

Correct answer: 2. Peristaltic rush

Explanation: Peristaltic rush is a very intense peristaltic wave, occurs when intestine is obstructed, thus not seen in normal individuals. Peristalsis, segmental contraction, haustrations and migrating motor complex are all normal bowel movements. Ref: Ganong's, review of medical physiology, 22nd edition, Page 480, 482